Which of the following is the most likely cause in a case of granuloma with positive AFB?
1. Cat scratch disease
2. Trench fever
3. Leprosy
4. Syphilis

Correct answer: 3. Leprosy

Explanation: Granuloma with positive AFB Is Leprosy caused by M.leprae. M. leprae is acid fast bacilli. Syphilis caused by Treponema pallidum (spirochaete), which is not stained by acid fast stain. Diagnosed by dark ground microscopy and other serologicaL tests. Trench fever caused by Bartonella quintana. Bartonellaspecies areGram-negative pleomorphic rods thatstainpoorly with theGram stainbut better with the Gimenezstain. Cat scratch disease caused by Bartonella henselae leads to bacillary angiomatosis.